MC cause of abortion in first trimester is, defect in:
1. Placenta
2. Uterus
3. Embryo
4. Ovarian

Correct answer: 3. Embryo

Explanation: Ans. is c i.e. Embryo As explained earlier most common cause of abortion in first trimester are chromosomal abnormalities involving the zygote or embryo